Alpha - wave in EEG is seen in -
1. Sleep
2. REM sleep
3. Awake state
4. Mental work

Correct answer: 3. Awake state

Explanation: C i.e. Awake